The upper limits for ventricular wall thickness is
1. Left ventricle - 1 cm, right ventricle 3 mm
2. Left ventricle - 1.2 cm, right ventricle 3 mm
3. Left ventricle - 1.3 cm, right ventricle 5 mm
4. Left ventricle - 1.5 cm, right ventricle 5 mm

Correct answer: 4. Left ventricle - 1.5 cm, right ventricle 5 mm

Explanation: The upper limits for ventricular wall thickness : - Left ventricle - 1.5 cm, right ventricle 5 mm - Atria - 2 mm